Which of the following structures is fixed first during re-implantation of an amputated digit?
1. Bone
2. Artery
3. Vein
4. Nerve

Correct answer: 1. Bone

Explanation: The amputated part is placed in a clean,dry, plastic bag, which is sealed and placed on top of ice in a Styrofoam container. This keeps the part sufficiently cool at 4deg C to 10deg C without freezing. The amputated part is wrapped in alightly moistened saline gauze to prevent tissue drying.With only a few minor variations, the sequence of replantationhas been standardized.The order of repair is usually bone, tendons, muscle units,arteries, nerves, and finally veins.Sabiston 20e pg: 1997